The best method to compare vital statistics of two populations -
1. Crude death rate
2. Age specific death rate
3. Age Standardized death rate
4. Multivariate mortality rate

Correct answer: 3. Age Standardized death rate